Which has maximum nicotinic effect-
1. Bethanechol
2. Carbachol
3. Pilocarpine
4. Methacholine

Correct answer: 2. Carbachol

Explanation: Ans. is 'b' i.e., Carbachol o Amongst the given options carbachol has maximum nicotinic actions. It has nicotinic as well as muscarinic action.